Egg is deficient in-
1. Vitamin B
2. Vitamin C
3. Fat
4. Proteins

Correct answer: 2. Vitamin C

Explanation: Egg contains all nutrients except carbohydrate and Vitamin ‘C'
Food items as Poor Sources of nutrients :


Milk is a poor source of Vitamin C and Iron.
Milk is a poor source of Calcium.
Milk is a poor source of Carbohydrates.


Food items as Rich Sources of nutrients :


Halibut Liver Oil is richest source of Vitamin A and Vitamin D.
Indian Gooseberry (amla) is richest source of Vitamin C.
Gingelly seeds are richest source of Vitamin Bj (Thiamine).
Sheep liver is richest source of Vitamin B2 (Riboflavin).